Which of the following drugs have high plasma protein binding to serum albumin?
1. Lignocaine
2. Warfarin
3. Quinidine
4. All of the above

Correct answer: 2. Warfarin

Explanation: Acidic drugs bind to albumin and basic drugs bind to alpha 1 acid glycoprotein. Drugs ending with 'inert' are basic drugs. So, lignocaine and quinidine bind to alpha 1 acid glycoprotein whereas warfarin binds to albumin. High albumin bound drugs High alpha 1 glycoprotein CNS- Barbiturates, BZD, Phenytoin, Valproate,lorazepam Anti-arrhythmic drugs-lignocaine, verapamil, beta blockers, quinidine Antibiotics-Penicillin, tetracycline, naproxen,sulfonamide Warfarin, NSAIDs,ceftriaxone CNS- opioids, TCA significanty decrease with disease & malnutrition increases in disease (chronic inflammatory disorders, malignancy) doesnot significantly decrease with healthy aging no effect seen with healthy aging